Which of the following best describes the "blind spot" of the eye?
1. Located 5 degrees lateral to the central point of vision
2. The exit point of the optic nerve
3. Contains only rods and thus has monochromatic vision
4. Contains no blood vessels

Correct answer: 2. The exit point of the optic nerve

Explanation: The blind spot is located 15 degrees lateral to the central point of vision. It is the location where fibers that make up the optic nerve exit the globe of the eye. There are no photoreceptors in this location.